Colpitis macularis is seen in
1. Trichomonas Vaginalis
2. Bacterial Vaginosis
3. Candida albicans
4. Cryptococcus

Correct answer: 1. Trichomonas Vaginalis

Explanation: Colpitis macularis / Strawberry vagina seen in 2 % cases in Trichomons vaginalis infection.